Subtrochanteric fractures of femur can be treated by all of the following methods, EXCEPT:
1. Skeletal traction on Thomas' splint
2. Smith Petersen Nail
3. Condylar blade plate
4. Ender'snail

Correct answer: 2. Smith Petersen Nail

Explanation: Smith Petersen Nail